Wernicke's encephalopathy is caused by deficiency of
1. B1
2. B2
3. B6
4. B12

Correct answer: 1. B1

Explanation: This disorder is also known as cerebral beriberi mostly seen in chronic alcoholics. demands for Vit(B1) thiamine increase in alcoholism Insufficient intake or impaired intestinal absorption will lead to this syndrome clinical features are ophthalmoplegia nystagmus cerebellar ataxia psychosis ref biochemistry satyanarayana 4th ed page 137 , DM vasudevan 8th ed page 467